How much Potassium is present in the Ringer Lactate solution?
1. 1 mEq/L
2. 4 mEq/L
3. 2 mEq/L
4. 6 mEq/l

Correct answer: 2. 4 mEq/L

Explanation: Crystalloid pH mOsm/L Na+ CI- Ca2+ Lactate- K+ Mg2+ Gluconate- Acetate- NS (0.9% Saline) 5.6 (4.5 - 7.0) 308o 154o 154 RL 6.6 (6.0 - 7.5) 274 130 109 3 28 4 Normosol 7.4 (6.5-7.6) 295 140 98 5 3 23 27